In laminate technique
1. Agar tray material and Alginate syringe material is used
2. Alginate tray material and Agar syringe material is used
3. Both can be used
4. none of the above

Correct answer: 2. Alginate tray material and Agar syringe material is used